Why is neuronal synaptic conduction mostly orthodromic?
1. Dendrites cannot be depolarized
2. Once repolarized, an area cannot be depolarized
3. The strength of antidromic impulse is less
4. Chemical mediator is localised only in the presynaptic terminal

Correct answer: 4. Chemical mediator is localised only in the presynaptic terminal

Explanation: Characteristic of chemical synapses is that it always transmit signals in one direction, from the neuron that secretes the transmitter substance, called the presynaptic neuron, to the neuron on which the transmitter acts, called the postsynaptic neuron. Ref: Principles of Animal Physiology By Moyes, Page 218.